Frozen slab technique is applicable to:
1. Zinc phosphate cement
2. Glass Ionomer cement
3. Zinc oxide Eugenol cement
4. Resin cement

Correct answer: 1. Zinc phosphate cement